Following sensory impairments occur in extensive damage to somatosensory area of cerebral cortex.EXCEPT-
1. Pressure
2. Sensory localization
3. Exact weight determination
4. Pain

Correct answer: 4. Pain